Shine dalgarno sequence in prokaryotes is associated with which of the following?
1. Transcription
2. Translation
3. Replication
4. Translocation

Correct answer: 2. Translation

Explanation: Shine dalgarno sequence is a ribosomal binding site in the mRNA generally located 8 base pairs upstream of the start codon AUG. This sequence helps in recruiting the ribosome to the mRNA to initiate protein synthesis by aligning it with the start codon. Thus this sequence is needed in initation stage of translation. Mutations in the Shine-Dalgarno sequence can reduce translation. There is a complementary sequence called anti-Shine-Dalgarno sequence located at the 3' end of the 16S rRNA in the ribosome. The eukaryotic equivalent of the Shine-Dalgarno sequence is called the Kozak sequence. Ref: Textbook of Biochemistry By D M Vasudevan, 3rd Edition, Page 357